Enterocele formation is a common complication of
1. Suburethral sling surgery
2. TVT
3. Burch colposuspension
4. TOT

Correct answer: 3. Burch colposuspension

Explanation: BURCH COLPOSUSPENSION COMPLICATIONS Hemorrhage during dissection of the space Urethra and bladder neck injury due to injudicious placement of sutures Osteitis pubis voiding difficulty detrusor instability Enterocele formation Failure and recurrence D.C.DUTTA'S TEXTBOOK OF GYNAECOLOGY,Pg no:404,6th edition